Elements of bishop's score is all except ?
1. Cervical dilatation
2. Cervical effacemat
3. Endometrial consistency
4. Fetal station

Correct answer: 3. Endometrial consistency

Explanation: Ans. is 'c' i.e., Endometrial consistency Bishop score, also Bishop's score, also known as cervix score is a pre-labor scoring system to assist in predicting whether induction of labor will be required. The total score is achieved by assessing the following five components on vaginal examination: Cervical dilation Cervical effacement Cervical consistency Cervical position Fetal station If the Bishop score is 8 or greater the chances of having a vaginal delivery are good and the cervix is said to be favorable or "ripe" for induction. If the Bishop score is 6 or less the chances of having a vaginal delivery are low and the cervix is said to be unfavorable or "unripe" for induction